All of the following are true about Broca's aphasia except
1. Lesion lies in frontal lobe
2. Fluency is impaired
3. Neologisms are absent
4. Repetitions is preserved

Correct answer: 4. Repetitions is preserved

Explanation: Repetitions are impaired in Broca's aphasia. Aphasia are abnormalities of language functions that are not due to defects of vision or hearing or motor paralysis. They are caused by lesions in the categorical hemispheres. Wernicke's Broca's Global Conduction Anterior(Non fluent) transcortical Posterior (fluent) transcortical Comprehension Impaired Preserved Impaired Preserved Preserved Impaired Repetition of spoken language Impaired Impaired Impaired Impaired Preserved Preserved Naming Impaired Impaired Impaired Impaired Impaired Impaired Fluency Preserved Decreased Decreased Preserved Impaired Preserved Ref: Ganong's Review of Medical Physiology 25th edition Pgno: 292-293